Malignant tumour is commonest in which of the following sinus:
1. Maxillary
2. Frontal
3. Ethmoidal
4. Sphenoidal

Correct answer: 1. Maxillary

Explanation: Ans. A: Maxillary Malignant neoplasm most frequently involves the maxillary sinus followed in turn by ethmoid, frontal and sphenoid Paranasal sinuses They are a group of four paired air-filled spaces that surround the nasal cavity The sinuses are named for the facial bones behind which they are located. The maxillary sinuses, also called the maxillary antrechea and the largest of the paranasal sinuses lie in the maxillary bones. The frontal sinuses in the frontal bone The ethmoid sinuses are formed from several discrete air cells within the ethmoid bone. The sphenoid sinuses, in the sphenoid bone at the center of the skull base under the pituitary gland. The paranasal air sinuses are lined with respiratory epithelium (ciliated pseudostratified columnar epithelium). Paranasal sinuses form developmentally through excavation of bone by air-filled sacs (pneumatic diverticula) from the nasal cavity. This process begins prenatally, and it continues through the course of an organism's lifetime Role Decreasing the relative weight of the front of the skull, and especially the bones of the face. Increasing resonance of the voice. Providing a buffer against blows to the face. Insulating sensitive structures like dental roots and eyes from rapid temperature fluctuations in the nasal cavity. Humidifying and heating of inhaled air because of slow air turnover in this region Malignancies of the paranasal sinuses They comprise approximately 0.2% of all malignancies. About 80% of these malignancies arise in the maxillary sinus. Men are much more often affected than women. They most often occur in the age group between 40 and 70 years. Carcinomas are more frequent than sarcomas. Metastases are rare. Tumours of the sphenoid and frontal sinuses are extremely rare.